All are true about peripheral-neuropathy except :
1. Glove and stocking anaesthesia
2. Proximal muscle weakness
3. Nerve-conduction deficit
4. Decreased reflexes

Correct answer: 2. Proximal muscle weakness

Explanation: Answer is B (Proximal Muscle Weakness): Symptoms and findings in Peripheral neuropathy whether motor or sensory are generally symmetric and 'graded distally' & not proximally. Involvement of the peripheral nerve explains both, defects in conduction as well as decreased reflexes.